All of the following are true about prevention of vitamin A deficiency by supplements except:
1. Dose in children over 1 year is 2 lac IU orally
2. Dose in infants less than 6 month (not being breast fed is 50 thousand IV orally)
3. Dose in first trimester of pregnancy is 1 lac IU
4. Under CSSM Programme first dose (1 lac IU) is given at 9 months of age along with measles

Correct answer: 3. Dose in first trimester of pregnancy is 1 lac IU

Explanation: Ans. Dose in first trimester of pregnancy is 1 lac IU